Early eiphyseal closure is seen with
1. LH
2. FSH
3. Estrogens
4. Progesterone

Correct answer: 3. Estrogens

Explanation: (Estrogens): Ref: 1859-Nelson 17thEstrogen has direct result of the known on promoting epiphyseal fusion and therapy must begin before the bone age has reached 12 years (Marfan's syndrome)* Recent studies have demonstrated that is estrogen that mediates epiphyseal fusion in both girls and boys* Androgens also accelerates skeletal maturation, presumably via aromatization to estrogens, but at the price of rapid virilization.